The transmembrane adhesive molecules present in hemi desmosomes which specifically binds to basal lamina glycoprotein laminin are
1. integrin α6-β4
2. the catenins desmoplakin
3. cadherins desmoglein
4. α and β catenin

Correct answer: 1. integrin α6-β4